A 37-year-old man suffers a traumatic injury to the axilla that damages the thoracodorsal nerve. Which of the following movements of the arm or scapula could be affected in this patient?
1. Abduction
2. Adduction
3. Flexion
4. Lateral rotation

Correct answer: 2. Adduction

Explanation: Adduction o Latissimus dorsi is supplied by the thoraco-dorsal nerve. o Latissimus dorsi help us in scratching the opposite scapulai.e., it leads to adduction, extension & medial rotation at the shoulder joint